Which of the following condition present with absence of both Mullerian and Wolffian duct structures:
1. Antimullerian Hormone deficiency
2. Androgen Insensitivity Syndrome
3. FSH Receptor defect
4. Ovotesticular syndrome

Correct answer: 2. Androgen Insensitivity Syndrome

Explanation: Both Wolffian duct structures and Mullerian duct structures do not develop in individuals with Androgen Insensitivity Syndrome. Ref: Robboy's Pathology of the Female Reproductive Tract, 2008, 2nd Edition, Chapter 1; Blaustein's Pathology of the Female Genital Tract, 2002, 5th Edition, Chapter 1; Pediatric Endocrinology' By Sperling, 3rd Edition, Chapter 5; Textbook of Gynecology By Sudha Salhan, 2012, Page 198